Duodenal villous atrophy is seen in
1. Crohn's disease
2. Ulcerative colitis
3. Celiac disease
4. Cystic fibrosis

Correct answer: 3. Celiac disease

Explanation: Ans. (c) Celiac disease(Ref: R9/ 1782)D Xylose absorption test is a medical test to diagnose condition that cause malabsorption of proximal small intestine.